The antiretroviral drug which is also effective in chronic active hepatitis–B infection is :
1. Zidovudine
2. Nelfinavir
3. Efavirenz
4. Lamivudine

Correct answer: 4. Lamivudine